Uses of alpha-2-agonist are all except?
1. Sedation
2. Glaucoma
3. Benign Hyperplasia of prostate
4. Hypertension

Correct answer: 3. Benign Hyperplasia of prostate

Explanation: Benign Hyperplasia of prostate.